Which of the following X–ray should be advised for age determination between 1–13 years of age –
1. Shoulder
2. Wrist
3. Elbow
4. Iliac bones

Correct answer: 2. Wrist

Explanation: Radiograph used to determine skeletal age

3-9 months --> Shoulder
1-13 years ---> Hand and wrist
12-14 years —> Elbow and hip